Nerve supply of Stapedius is
1. 2nd Cranial Nerve
2. 3rd Cranial Nerve
3. 5th Cranial Nerve
4. 7th Cranial Nerve

Correct answer: 4. 7th Cranial Nerve

Explanation: (D) 7th Cranial Nerve # The stapedius lies in a bony canal that is related to the posterior wall of the middle ear.> Stapedius is supplied by the facial nerve (VII CN).> It develops from the mesoderm of the second branchial arch.> The stapedius lies in a bony canal that is related to the posterior wall of the middle ear.> The stapedius is supplied by the facial nerve. It develops from the mesoderm of the second branchial arch.# BRANCHES OF THE FACIAL NERVE ARE:> Inside the internal acoustic meatus: Greater petrosal nerve - provides parasympathetic innervation to lacrimal gland, sphenoid sinus, frontal sinus, maxillary sinus, ethmoid sinus, nasal cavity, as well as special sensory taste fibers to the palate via the Vidian nerve. Nerve to stapedius - provides motor innervation for stapedius muscle in middle ear Chorda tympani - innervation to submandibular gland and sublingual gland and special sensory taste fibers for the anterior 2/3 of the tongue. Branch to the tympanic plexus> Outside skull (distal to stylomastoid foramen): Posterior auricular nerve - controls movements of some of the scalp muscles around the ear Branch to Posterior belly of Digastric and Stylohyoid muscle# Five major facial branches (in parotid gland) - from top to bottom:1. Temporal (frontal) branch of the facial nerve; 2. Zygomatic branch of the facial nerve; 3. Buccal branch of the facial nerve; 4. Marginal mandibular branch of the facial nerve; 5. Cervical branch of the facial nerve